Which one of the following is false about autosomal dominant disorders.
1. Mutated genes can express themselves in heterozygous state
2. Recurrence risk of 25% for parents with a previous affected child
3. Males and females are equally affected
4. Usually defects of structural proteins or receptors

Correct answer: 2. Recurrence risk of 25% for parents with a previous affected child

Explanation: Recurrence risk is 50%.